The primary response of the pulp to tissue destruction is
1. Necrosis
2. Ulceration
3. Calcific degeneration
4. Inflammation

Correct answer: 4. Inflammation